Hypersensitivity to dermatophyte antigens is called
1. ID reaction
2. Schultz charlton reaction
3. Bachman reaction
4. Frenkel's reaction

Correct answer: 1. ID reaction

Explanation: Hypersensitivity to dermatophyte antigens is called ID reaction or Dermatophytid reaction.